Which of the following is a GM2 gangliosidosis?
1. Sandhoff's disease
2. Niemann-Pick disease
3. Gaucher's disease
4. Fabry's disease

Correct answer: 1. Sandhoff's disease

Explanation: Sandhoff's disease and Tay-Sachs disease are GM2 gangliosidosis. GM2 Gangliosidoses Disease Deficient enzyme Lipid accumulating Clinical features Tay-Sachs disease Hexosaminidase A GM2 ganglioside Intellectual disability, Blindness, Muscular weakness, Cherry-red spot Sandhoff disease b-Hexosaminidases A and B Macrocephaly Hyperacusis Cherry-red spot